The thickness of thin rubber dam is:
1. 0.002 inch
2. 0.004 inch
3. 0.006 inch
4. 0.2 inch

Correct answer: 3. 0.006 inch